Menkes' kinky hair disease occurs due to:
1. Low copper levels
2. Low zinc levels
3. Low iron levels
4. Low fluoride levels

Correct answer: 1. Low copper levels

Explanation: Ans. A. Low copper levelsMenkes' kinky hair diseasea. X-linked defect in intestinal absorption of copper.b. Affected infants have low levels of copper and ceruloplasmin.c. Progressive cerebral degenerationd. Growth retardatione. Sparse brittle hairf. Arterial lesionsg. Scurvy-like bone changesh. Anemia and neutropeniai. Failure to thrivej. Pili torti, trichorrhexis and monilethrix may occur.